Most commonly used tuning fork in ear examination-
1. 128 Hz
2. 256 Hz
3. 512 Hz
4. 1024 Hz

Correct answer: 3. 512 Hz

Explanation: Ans. is 'c' i.e., 512 Hz o Commonly used tuning fork has a frequency of 512 Hz-o Forks of other frequencies, e.g. 256 and 1024 Hz should also be available.